Stapes footplate covers:
1. Round window
2. Oval window
3. Inferior sinus tympani
4. Pyramid

Correct answer: 2. Oval window

Explanation: Footplate of stapes covers the oval window and secondary tympanic membrane covers the round window.